Drug of choice in lithium induced diabetes insipidus is ?
1. Amiloride
2. Vasopressin
3. Thiazide diuretics
4. Diclofenac

Correct answer: 1. Amiloride

Explanation: Ans. is 'a' i.e., Amiloride o Amiloride is the drug of choice for lithium induced DL